While arrangement of teeth in anterior maxilla, if it is set too far down anteriorly, then which of the sound is most affected?
1. F
2. V
3. Ch
4. S

Correct answer: 1. F